Gluconeogenesis from lactate needs all except ?
1. Transport of lactate from muscle to liver
2. Conversion of lactate to pyruvate
3. Transamination of pyruvate to alanine
4. None of the above

Correct answer: 3. Transamination of pyruvate to alanine

Explanation: Ans. is 'c' i.e., Transamination of pyruvate to alanine